Anticholinesterase that binds only with the anionic site is
1. Physostigmine
2. Edrophonium
3. Neostigmine
4. Echothiophate

Correct answer: 2. Edrophonium